All of the following about Gastrointestinal carcinoid tumors are true, Except:
1. Small intestine and appendix account for almost 60% of all gastrointestinal carcinoid
2. 5 year survival for carcinoid tumors is >60%
3. Rectum is spared
4. Appendicial carcinoids are more common in females than males

Correct answer: 3. Rectum is spared

Explanation: Rectum is not spared, but is infact a common site for carinoid tumor. About other options: 5 year survival for carcinoid tumors is >60% Ref : Bailey and love surgery text book 27th Ed.